Macrophages- false statement is?
1. Derived from monocytes
2. Harbor Mycobacteria
3. Involved in Type 3 HSN
4. Produces TNF and interleukins

Correct answer: 3. Involved in Type 3 HSN

Explanation: Ans. (c) Involved in Type 3 HSN(Ref: Robbins 9th/pg 210)A. TrueMonocytes in tissues are known as MacrophagesB. TrueMacrophages engulf Mycobacteria but are not able to kill it; So they harbor MycobacteriaC. FalseMacrophages are involved in Type 4 Hypersensitivity & not type 3, which is immune- complex mediatedD. True*. Macrophages secrete TNF, IL-1, and chemokines, which promote inflammation*. Macrophages also produce IL-12, thereby amplifying the TH1 response